Shortest acting non benzodiazepine sedative is:
1. Zolpidem
2. Zaleplon
3. Zopiclone
4. Midazolam

Correct answer: 2. Zaleplon

Explanation: Amongst the three Z drugs, zaleplon has the shortest half life of one hours, half life of zolpidem is 2.4 hours whereas that zopiclone is 5 hours. Midazolam is a benzodiazepine